Painless burn in hand is a characteristic feature of :
1. Syringomgelia
2. Thalamic syndrome
3. Cord compression
4. Systemic-lupus-ehromatosis

Correct answer: 1. Syringomgelia

Explanation: Answer is A (Syringomyelia): Syringomyelia is characterized by 'dissociative anaesthesia' with sensory loss to sensations of temperature and pain while sensation of 'touch' is preserved. This leads to multiple burns and non healing ulcers over the hand and forearms.